Most significant complication of polycythemia rubra vera is:
1. Transformation into leukemia
2. Secondary bone marrow failure
3. Hypersplenism
4. Thrombosis

Correct answer: 4. Thrombosis

Explanation: Polycythemia rubra vera It is an indolent disorder Thrombosis is the most significant complication Maintenance of the hemoglobin level at 140 g/L (14 g/dL; hematocrit Phlebotomy :serves to help this aim Ref: Harrison, E-18,P-903